Which of the following enzymes require Vitamin C for their activity?
1. Procollagen proline hydroxylase
2. Procollagen amino peptidase
3. Procollagen carboxyl peptidase
4. Lysyl oxidase

Correct answer: 1. Procollagen proline hydroxylase

Explanation: Vitamin C plays the role of a coenzyme in hydroxylation of proline and lysine while protocollagen is converted to collagen  (i.e.  post-translational modification). The hydroxylation reaction is catalysed by lysyl hydroxylase  (for  lysine)  and prolyl  hydroxylase (for  proline).